Increase in false positive cases in a community is due to:
1. High specificity
2. High sensitivity
3. High prevalence
4. Low prevalence

Correct answer: 4. Low prevalence

Explanation: Low prevalence Repeat from May 10